Which of the following is not true of Vit D?
1. Its active form is calcitriol
2. Increases calcium absorption from the intestines
3. Its deficiency results in rickets
4. Its decrease causes phosphate reabsorption from the kidneys

Correct answer: 4. Its decrease causes phosphate reabsorption from the kidneys